The following statements are true about Tumour Suppressor Gene p53 except -
1. It regulates cetain genes involved in cell cycle regulation
2. Its increased levels can induce apoptosis
3. Its activity in the cells decreases following UV irradiation and stimulates cell cycle
4. Mutations of the p53 gene are the most common genetic alteration seen in human cancer

Correct answer: 3. Its activity in the cells decreases following UV irradiation and stimulates cell cycle

Explanation: Ans. is 'c' i.e., Its activity in the cells decreases following UV irradiation and stimulates cell cycle